Median nerve supplies all muscles of the thumb except -
1. Abductor-pollicis-brevis
2. Flexor-pollicis-brevis
3. Opponens pollicis
4. Adductor pollicis

Correct answer: 4. Adductor pollicis

Explanation: Median nerve supply in hand
-        Flexor pollicis brevis
-        Opponens pollicis
-        Abductor pollicis brevis
First two lumbricals
Adductor pollicis is supplied by Ulnar nerve